Swimmer after coming out from swimming pool presents with redness and mucopurulent discharge. There is no history of contact lens wear. On examination, no corneal involvement seen. Probable diagnosis is
1. Acanthamoeba keratitis
2. Adult inclusion conjunctivitis
3. Vernal keratoconjunctivitis
4. Angular conjunctivitis

Correct answer: 2. Adult inclusion conjunctivitis

Explanation: Answer- B. Adult inclusion conjunctivitisis a type of follicular conjunctivitis caused by serotypes D to K of chlamydia trachomatis in sexually active young adults.Transmission may occur either through contaminated fingers or through contaminated water of swimming pools (Swimming pool granuloma).